LD bodies are
1. Amastigote forms
2. Promastigote forms
3. Both
4. None of the above

Correct answer: 1. Amastigote forms

Explanation: LD bodies (leishman donovan bodies) are asmastigote forms in peripheral smear examination in Leishmaniasis.